"Creola Bodies" in sputum are pathognomonic of -
1. Bronchial Asthma
2. Chronic Bronchitis
3. Bronchogenic Carcinoma
4. Pulmonary Tuberculosis

Correct answer: 1. Bronchial Asthma